Which of the following is not component of acinus?
1. Pulmonary lobule
2. Respiratory bronchioles
3. Alveolar ducts
4. Alveolar sac

Correct answer: 1. Pulmonary lobule

Explanation: Ans. is `a' i.e., Pulmonary lobule o Pulmonary lobule is not a component of acinus, rather cluster of 3-5 terminal bronchioles with acinus form pulmonary lobule. Respiratory tract anatomy o Progressive branching of bronchi forms bronchioles. o Further branching of bronchioles leads to terminal bronchioles. o Terminal bronchiole emnate into respiratory bronchioles. o Respiratory bronchioles proceed into the alveolar ducts, wich immediately branch into alveolar sacs (alveoli). o The part of lung distal to the terminal bronchiole is called acinus, i.e., respiratory bronchiole, alveolar duct and alveolar sac. o A cluster of three to five terminal bronchioles, each with its appended acinus, is usually referred to as pulmonary lobule. o So, pulmonary lobules include cluster of three to five terminal bronchioles with its respiratory bronchioles, alveolar ducts and alveolar sacs